The type of Hodgkin's lymphoma include -a) Nodular sclerosisb)  Lymphocyte depletionc)  Mixed cellularityd)  Mantle cell lymphomae)  Lymphoplasmacytic
1. ab
2. abc
3. acd
4. bcd

Correct answer: 2. abc

Explanation: Hodgkin lymphoma                                                              
The term "Hodgkin lymphoma" encompasses a group of lymphoid neoplasm that is characterized by the presence of distinctive neoplastic giant cells called Reed-Sternberg cells.

Reed-sternberg cells induce the accumulation of reactive lymphocytes, histiocytes (macrophages), and granulocytes.
The WHO classification recognizes five subtypes of Hodgkin lymphoma : -


Nodular sclerosis                                  
Mixed cellularity 
Lymphocyte rich 
Lymphocytic depletion  
Lymphocytic predominance